A mother brings a 3 year old child that he cannot walk without support, do not indicates wet pants and do not scribble anything. She also tells that he can walk with support, Plays peek a boo and speaks 2-3 words with meaning. What is the developmental quotient of this child?
1. 33%
2. 66%
3. 50%
4. 25%

Correct answer: 1. 33%

Explanation: As child can walk with support, Play peek-a-boo and speak 2-3 words with meaning, developmental age of this child is 1 year.
Chronological age = 3 year